The facial root of premolar appears to be distal to the lingual root in X-ray. What will be the direction of projection?
1. Changed vertical direction of projection
2. X-ray projected from distal side
3. X-ray projected from mesial side
4. Changing the tube film distance

Correct answer: 3. X-ray projected from mesial side